Punched out lesions on the alveolar ridge is due to:
1. Acrylic nodules on tissue facing surface of denture
2. Disturbed occlusion
3. Overextended borders of denture
4. Narrow occlusal table

Correct answer: 1. Acrylic nodules on tissue facing surface of denture